Pregnancy is contraindicated in
1. Heart transplantation
2. Mechanical valves
3. Pulmonary arterial hypertension
4. Marfan syndrome without aortic dilatation

Correct answer: 3. Pulmonary arterial hypertension

Explanation: WHO 4 Category: Very high risk of maternal mortality or severe morbidity; Pregnancy contraindicated and termination discussedPulmonary arterial hypertensionSevere systemic ventricular dysfunction Previous peripartum cardiomyopathy with any residual impairment of left ventricular functionSevere left heart obstructionMarfan syndrome with aorta dilated > 40mm(Ref: William's Obstetrics; 25th edition)